Millard repair is used for treatment of:
1. Cleft lip
2. Cleft palate
3. Meningocele
4. Saddle nose

Correct answer: 1. Cleft lip

Explanation: The rotation advancement cleft lip repair, also referred to as a Millard repair, is probably the most commonly performed repair today. Almost no tissue is discarded; the medial lip element is rotated downward, even with a back cut, if necessary, and the lateral lip element is advanced into the defect under the nasal sill. Mucosal flaps are used to line the nose and the vestibule of the lip